The viruses causing gastroenteritis are -a) Rotavirusb) Norwalk virusc) Adenovirusd) Hepatadenoviruse) Enterovirus
1. bcde
2. abcd
3. acde
4. abce

Correct answer: 4. abce

Explanation: □ Viruses that are important causes of gastrointestinal infection are - rotaviruses , enteric
adenoviruses (especially, serotype 40 & 41) Q, noroviruses, sapoviruses, astroviruses & possibly
toroviruses - Fields virology 
□ Viruses causing diarrhoea 
RotavirusesQ
AstrovirusesQ
AdenovirusesQ
Calcivi ruses
Coronaviruses
Norwalk group virusesQ
Enteroviruses
 Viral infections causing diarrhoea (Current Diagnosis & Treatment in Gastroenterology 
Rotavirus & Norwalk virus are the two most common agents in viral diarrhoea in children & adults,
respectively
Rotavirus : The disease occur primarily in children aged 3-15 months , with infection less
common after 2 years of age. Adult can develop mild infection. Typically a childe develops
vomiting, followed by profuse, watery diarrhoea. Dehydration may develop rapidly in chidren &
contributes significantly to the se%rerity of the illness. Rotashieldj a live oral vaccine initially
approved for the prevention of rotavirus infection, was withdrawm from the market because of a possible increased risk of intussusception
Norwalk virus : The clinical spectrum of disease is varied, although all cases are mild. The duration of illness is usually 24-48 hours